Nodular scabies is seen in
1. Web spaces of fingers
2. Axilla
3. Scrotum
4. Abdomen

Correct answer: 3. Scrotum

Explanation: Most common site for nodular scabies is- scrotum most coomon age- childern iadvl textbook of dermatology page 459